Iatrogenic traumatic facial nerve palsy is most commonly caused during -
1. Myringoplasty
2. Stapedectomy
3. Mastoidectomy
4. Ossiculoplasty

Correct answer: 3. Mastoidectomy

Explanation: “All ear operations run the risk of facial nerve damage, particularly if the nerve is exposed. In particular a mastoidectomy has a high risk because a sharp cutting rotating burr is used in close proximity to the nerve.”
Other Operations where Facial Nerve may be Damaged
– Stapedectomy
– Removal of acoustic neuroma